Cells involved in humoral immunity -
1. B-cells
2. T-cells
3. Helper cells
4. Dendritic cells

Correct answer: 1. B-cells

Explanation: Ans. is 'a' i.e., B-eells o There are two main types of adaptive immunity:-1. Cell mediated (cellular) immunity.# Mediated by T-lymphocytes# Responsible for defense against intracellular microbes.2. Humoral immunity# Mediated by B-lymphocytes and antibodies.# Protects against extracellular microbes and their toxins.